Cytochrome C of the bacteria has 50% identity of amino acid sequence with that of human. Which of the following is the most conserved parameter in these two proteins?
1. Quarternary structure
2. Tertiary structure
3. Amino acid sequence
4. Loop and turn segments

Correct answer: 2. Tertiary structure

Explanation: B i.e. Tertiary structure Tertiary structure of cytochrome C in bacteria and humans are highly conserved. Pseudomonas (bacterial)cytochrome C differs from eukaryotic (human) cytochrome in- total no. of amino acids- amino acid sequence.Comparison of primary protein structure with the tertiary structure revealed that functionally crucial a.a residues fold closely together in tertiary structure while they were distant to each other in primary structure.